Which is not a indication of liver transplantations?
1. Cirrhosis
2. Primary hepatic malignancy
3. Acute fulminant liver failure
4. None of the above

Correct answer: 4. None of the above

Explanation: (D) None of the above # The indications for liver transplantation fall into four groups:> Cirrhosis> Acute fulminant liver failure;> Metabolic liver disease;> Primary hepatic malignancy.